Which of the following glycosaminoglycan contains iduronic acid?
1. Hyaluronic acid
2. Keratan sulfate I
3. Keratan sulfate II
4. Heparin

Correct answer: 4. Heparin

Explanation: Option d : Heparin contains iduronic acid Glucuronic acid is the hexuronic acid present in most of the glycosaminoglycans. Iduronic acid is a component of Heparin Dermatan sulfate Heparin and Heparan sulfate both contain N-sulfo glucosamine sugar instead of N-acetyl glucosamine as sugar component. NOTE: Dermatan sulfate is made up of N-acetyl galactosamine + iduronic/glucuronic acid